Difference between contusion and post-mortem lividity is that post-mortem lividity ?
1. Shows sequential color change
2. Easily washable
3. Shows diffuse irregular margins
4. Has raised enzyme levels

Correct answer: 2. Easily washable

Explanation: Ans. is 'b' i.e., Easily washable